Insulin increases the entry of glucose into:
1. All tissues
2. Renal tubular cells
3. The mucosa of the small intestine
4. Skeletal muscle

Correct answer: 4. Skeletal muscle

Explanation: Skeletal and cardiac muscle, adipose tissues contain GLUT4, which is stimulated by insulin.